Preimplantation genetic diagnosis is
1. Identify embryonic aneuploidy resulting from gamete meiotic errors
2. Identify genetic abnormalities in eggs or embryos prior to their transfer
3. Identify risk for transmission of non inherited diseases
4. None of the above

Correct answer: 2. Identify genetic abnormalities in eggs or embryos prior to their transfer

Explanation: Preimplantation genetic diagnosis is technique to identify genetic abnormalities in eggs or embryos prior to their transfer. Whereas, preimplantation genetic screening aims to identify embryonic aneuploidy resulting from gamete meiotic errors.